Interstitial Emphysema may be found in the following conditions -
1. Chest injury
2. Tracheostomy
3. Surgical wound
4. All

Correct answer: 4. All